Par boiling of paddy helps in retaining – a)  Vitamin Cb)  Vitamin Ac)  Niacind)  Thiamine
1. ab
2. cd
3. bd
4. ac

Correct answer: 2. cd